A middle aged man complains of lack of sleep during the night time. To know the duration of the time he is truly asleep or awake can v.,..)sce--,,d by which of the following?
1. Barograph
2. Kymograph
3. Actigraphy
4. Plethysmography

Correct answer: 3. Actigraphy

Explanation: Ans.c Actigraphy Sleep Actigraphs are useful for determining sleep patterns and circadian rhythms. Actigraphy Actigraphy is a non-invasive method of monitoring human rest/activity cyclesQ A small actigraph unit, also called an actimetry sensor, is worn by a patient to measure gross motor activity. Motor activity often under test is that of the wrist, measured by an actigraph in a wrist-watch-like package. The unit continually records the movements it undergoes. The data can be later read to a computer and analysed offline Actigraphy Sleep Actigraphs Useful for determining sleep patterns and circadian rhythmsdeg deg Used to clinically evaluate insomnia, circadian rhythm, sleep disordersdeg, excessive sleepiness and restless legs syndrome. It is also used in assessing the effectiveness of pharmacologic, behavioural, treatments for such disorders Activity Actigraphs Useful for determining the amount of activity and possibly the number of calories burned by the wearer. Movement Actigraphs Used to determine problems with gait and other physical impairments